Pterygium of the nail is seen in -
1. Lichen planus
2. Psoriasis
3. Tinea unguium
4. alopecia areata

Correct answer: 1. Lichen planus

Explanation: Ans. is 'a' i.e., Lichen planus Dorsal pterygiumo Winged appearance of nail due to a central fibrotic band divides a nail proximally in two.o Fibrotic band obstructs normal nail growth, eg lichen planus.Ventral pterygium or pterygium inversum unguiso Occurs on the distal undersurface of the nail, with forward extension of the nail bed epithelium dislocating the hyponychium and obscuring the distal groove.eg:- trauma, systemic sclerosis, Raynaud's phenomenon, lupus erythematosus, familial and infective.